Most common clinical presentation of idiopathic retroperitoneal fibrosis is
1. Ureteral obstruction
2. Leg edema
3. Calf claudication
4. Jaundice

Correct answer: 1. Ureteral obstruction

Explanation: Idiopathic retroperitoneal fibrosis also called Ormond's disease is nonspecific inflammation of fibrofatty tissue in the retroperitoneum. It results in extensive collagen deposition surrounding the ureters, mostly at the level of the pelvic brim or below- Most patients present with ureteric obstruction, often with renal failure Reference : page 1007 Bailey and Love's short practice of surgery 25th edition